Dietary fluoride supplements should be provided to children if water fluoride ppm is
1. 0.6 ppm or lower
2. 0.7 ppm or lower
3. 0.8 ppm or lower
4. 1.0 ppm or lower

Correct answer: 1. 0.6 ppm or lower

Explanation: The natural fluoride content of the water should first be determined. If the natural fluoride content is 0.6 ppm or higher, supplements should not be administered. If the fluoride content is below 0.6 ppm, the administration of fluoride should be considered.